Dribbling of saliva is feature of:
1. Antemortem hanging
2. Strangulation
3. Postmortem hanging
4. Drowning

Correct answer: 1. Antemortem hanging

Explanation: Ans. Antemortem hanging